Deep nucleus of cerebellum
1. Lentiform
2. Caudate
3. Putamen
4. Fastigial

Correct answer: 4. Fastigial

Explanation: Nucleus of cerebellum (Lateral to medial ):Dentate, emboliform, globose &fastigial Cerebellar nuclei function Dentate working with lateral part Co-ordinate movement of joint Fastigial working with central vermis Saccadic eye movement. Interposed nuclei (emboliform & globose) working with para vermal area Feedback mechanism from joints to have proper co- ordination of joint. Caudate nucleus and Lentiform nucleus (inner Globus pallidus + outer putamen) are Basal ganglia nuclei.